Fluoxetine is a -
1. Noradrenaline uptake inhibitor
2. Serotonin uptake enhancer
3. Serotonin uptake inhibitor
4. MAO

Correct answer: 3. Serotonin uptake inhibitor